After a fast of a few days, ketone bodies become an important fuel
1. Liver
2. Brain
3. Skeletal muscle
4. Red blood cells

Correct answer: 2. Brain

Explanation: The brain begins to use ketone bodies when levels start to rise after 3 to 5 days of fasting. Normally, the brain will use only glucose as a fuel (most fatty acids cannot cross the blood-brain barrier to be metabolized by the brain), but when ketone bodies are elevated in the blood, they can enter the brain and be used for energy.